Garden's classification used for which fracture-
1. Surgical neck humerus
2. Shaft humerus
3. Neck of femur
4. Shaft femur

Correct answer: 3. Neck of femur

Explanation: Ans. is 'c' i.e.. Neck of femur Garden's classification o Garden's classification is the most useful and most accepted classification of the neck offemur. This is based on the degree of displacement of the fracture. Following 4 stages of fracture are there Stage I: The fracture is incomplete, with head tilted in postero-lateral direction, i.e. into valgus, therefore is known as valgus (abduction) impacted fracture. Stage 2 : Complete fracture but undisplaced. Stage 3 : Complete fracture with partial displacement. Stage 4 : Complete fracture with total displacement. o The degree of displacement, in Garden's classification, is judged from change in the direction of medial trabecular stream of the neck, in relation to the bony trabeculae in the weight bearing part of the head and in the corre- sponding part of the acetabulum. Stage / There is an obtuse angle laterally at the trabecular stream. Stage 2 Trebeculae between head and neck are broken but they are in alignment with each other and with trabeculae in the acetabulum. Stage 3 All three trabeulae are out of alignment. Stage 4 Acetabular and head trabeculae are in alignment but head and neck trabeculae are not aligned.